Cisplatin induced vomiting on 3rd day of treatment DOC
1. Aprepitant
2. Ondansetron
3. Metaclopramide
4. Prochlorperazine

Correct answer: 1. Aprepitant

Explanation: vomiting induced by chemotherapy has two stages early onset and delayed onset early onset is within 24 hrs of the therapy which can be controlled by drugs like ondansetron but Delayed onset of vomiting is not controlled by ondansetron in cisplatin treatment. hence more poerful drug acting on NK 1 receptors is used like aprepitant and fos apripetant. Ref:katzung 10/6 p 1027.